Drug used in acute gout-
1. Allopurinol
2. Probenacid
3. Colchicine
4. Sulfinpyrazone

Correct answer: 3. Colchicine

Explanation: Ans. is 'c' i.e., Colchicine o Drugs used in acute goutNSAIDs (drugs of choice), colchicine (fastest acting drug), corticosteroids,o Drugs used in chronic goutAllopurinol (drug of choice), probenacid, sulfinpyrazone.